Lesions of pityriasis rosea are distributed mostly on the:
1. Face
2. Trunk
3. Scalp
4. Palms and soleus

Correct answer: 2. Trunk

Explanation: Ans:B.)Trunk